The ideal time of repair of cleft of hard palate is
1. At birth
2. Between 3-6 months of age
3. Between 12-15 months of age
4. After 2 years of age

Correct answer: 3. Between 12-15 months of age